Which of the following contains both DNA and RNA?
1. Plasmids
2. Bacteria
3. Prions
4. Viroids

Correct answer: 2. Bacteria

Explanation: Ans. (b) i.e., bacteria Microbe - DNA RNA Protein Bacteria + + + Virus +1-- +/-- Prion Fungi + Parasites Plasmids + -- Viroids Viroids: Plant pathogens that consists of short, strech of circular single/double standed RNA.